Which gene is mutated in Cowden syndrome?
1. SMAD 2
2. PTCH
3. PTEN
4. APC

Correct answer: 3. PTEN

Explanation: Cowden syndrome is also known as multiple hamartoma - neoplasia syndrome.
It is due to PTEN gene mutation. It increases the risk of Ca Breast, Ca endometrium and thyroid cancers.